Stapes rests in
1. Round window
2. Tympanic membrane
3. Oval window
4. Basilar membrane

Correct answer: 3. Oval window

Explanation: (C) Oval window > The stapes is named for its resemblance to a stirrup> Stapes foot-plate is attached by an annular ligament to the walls of the oval window.